All except one describes critical limb ischaemia
1. ABPI = 0.3
2. Ankle SBP < 50 mmHg
3. Toe SBP < 30 mmHg
4. Ankle SBP > 30 mmHg

Correct answer: 4. Ankle SBP > 30 mmHg

Explanation: Ankle SBP < 50 mmHg describes critical limb ischaemia.